Resistant kala-azar is defined by the persistance of the following feature despite adequate therapy
1. Fever
2. Non-regression of splenomegaly
3. L.D. bodies in more than 5% cells in bone marrow
4. Hyperglobulinaemia

Correct answer: 3. L.D. bodies in more than 5% cells in bone marrow